Topographical theory of mind was given by
1. Adler
2. Carl Jung
3. Sigmund freud
4. Emil kraepin

Correct answer: 3. Sigmund freud

Explanation: Sigmund freud gave both structural & topographical theories of mind.